Which of the following is an activator of LCAT ?
1. Apo B100
2. Apo B 48
3. Apo E
4. Apo A1

Correct answer: 4. Apo A1

Explanation: LCAT: Lecithin Cholestrol Acyl Transferase This enzyme is involved in HDL for the conversion of Cholestrol to Cholestrol ester by adding one fatty acid in it. This fatty acid is taken from lecithin and is given to cholesterol. The nick name of this Fatty acid is acyl. So, the name of this enzyme is Acyl Transferase. Apo A-I - activate LCAT Apo A-II - inhibits LCAT